Soldier injured in combat presenting with edema, crepitus, brown exudate
1. Gas gangrene
2. Crush syndrome
3. Long bone fracture
4. None

Correct answer: 1. Gas gangrene

Explanation: Answer- A. Gas gangreneCrepitus in soft tissue is characteristic of gas gangrene.Edema, crepitus and brown exudate after injury suggest the diagnosis of gas gangrene.